Psamomma bodies are seen in?
1. Papillary carcinoma thyroid
2. Medullary carcinoma thyroid
3. Follicular carcinoma thyroid
4. Anaplastic carcinoma

Correct answer: 1. Papillary carcinoma thyroid

Explanation: Ans. (a) Papillary carcinoma thyroidRef. Robbiris pathology 9th ed. /1095* Psammoma bodies are associated with the papillary histo-morphology and are thought to arise from:1 The infarction and calcification of papillae tips2 Calcification of intra-lymphatic tumor thrombi* Psammoma bodies are commonly seen in certain tumors such as:# Papillary thyroid carcinoma# Papillary renal cell carcinoma# Ovarian papillary serous cyst-adenocarcinoma# Endometrial adenocarcinomas (Papillary serous carcinoma ~3%-4%)# Meningiomas, in the central nervous system# Peritoneal and Pleural Mesothelioma# Somatostatinoma# Prolactinoma# Mesothelioma, in membranes that line body cavities